In Neuroleptic malignant syndrome, cause of death is ?
1. Respiratory failure
2. Liver failure
3. Drug toxicity
4. None of the above

Correct answer: 1. Respiratory failure

Explanation: Ans. A. Respiratory failureCauses of death in NMSRespiratory failureRenal failurePneumoniaThromboembolismCardiac failure